Which one of the following diseases is endogenous in origin
1. Aspergillosis
2. Candidiasis
3. Phycomycosis
4. All of the above

Correct answer: 2. Candidiasis

Explanation: Candida albicans is the normal inhabitant of skin, GIT, oral and vaginal cavities. It is an opportunistic endogenous infection. Ref: Baveja textbook of microbiology; 4th edition